O2 is given during anaesthesia to prevent-
1. Pain
2. Hypoxia
3. Hypercapnia
4. Hypotension

Correct answer: 2. Hypoxia